A patient has diarrhea, malabsorption,  Abdominal pain and Arthralgia. On intestinal biopsy PAS + organisms present inside macrophage. Most likely diagnosis is
1. Celiac sprue
2. Whipple's disease
3. Zollinger - ellison syndrome
4. Chron's disease

Correct answer: 2. Whipple's disease

Explanation: PAS+ Organisms inside macrophage clearly s/o whipple's disease.